HIV which is found in West Africans is?
1. HIV 1
2. HIV 2
3. HIV 3
4. HIV 4

Correct answer: 2. HIV 2

Explanation: HIV 2 REF: Harrison's Internal Medicine > Chapter The four recognized human retroviruses lymphotropic viruses (HTLV)-I and HTLV-II, immunodeficiency viruses, HIV-1 and HIV-indirectly. The most common cause of HIV disease throughout the world, and certainly in the United States, is HIV-1, which comprises several subtypes with different geographic distributions (see below). HIV-2 was first identified in 1986 in West African patients and was originally confined to West Africa. However, a number of cases that can be traced to West Africa or to sexual contacts with West Africans have been identified throughout the world. Both HIV-1 and HIV-2 are zoonotic infections